The clean and small wound heals by?
1. Primary intention
2. Secondary intention
3. Tertiary intention
4. All of above

Correct answer: 1. Primary intention

Explanation: HEALING BY PRIMARY INTENTION

It involves epidermis and dermis without total penetration of dermis healing by process of epithelialization when wound edges are brought together so that they are adjacent to each other (reapproximated).
This minimizes scarring
Most surgical wounds heal by primary intention healing
Wound closure is performed with sutures (stitches), staples, or adhesive tape • Examples: well-repaired lacerations, well-reduced bone fractures, healing after flap surgery